The clinical use of leuprolide includes all the following EXCEPT:
1. Endometriosis
2. Osteoporosis
3. Prostate cancer
4. Precocious puberty

Correct answer: 2. Osteoporosis

Explanation: GnRH agonists, as well as antagonists, can cause hot flushes, loss of libido and osteoporosis as adverse effects